The histological features of coeliac disease include all of the following, except :
1. Crypt hyperplasia
2. Increase in thickness of the mucosa
3. Increase in intraepithelial lymphocytes
4. Increase in inflammatory cells in lamina propyria

Correct answer: 2. Increase in thickness of the mucosa

Explanation: Answer is B (Increase in thickness of mucosa) The overall mucosal thickness remains the same - Robbins Pathologic morphology of celiac disease: The mucosa appears flat or scalloped or may be visually normal. Biopsy specimens demonstrate a diffuse enteritis, with the following features. The villi The surface epithelium The crypts The lamina propria show marked shows vacuolar degeneration, loss exhibit increased mitotic activity and has an overall increase in plasma atrophy or total of the microvillus brush border, are elongated, hyperplastic and cells, lymphocytes, macrophages, loss. and an increased number of intraepithelial lymphocytes. tortuous, so the overall mucosal thickness remains the same. eosinophils and mast cells. All these structural changes are more marked in the proximal small intestine Q than in the distal because it is the duodenum and proximal jejunum that are exposed to the highest concentration of the dietary gluten.